AML is characterized by -
1. Philadelphia chromosome
2. Auer rods
3. Hemolytic anemia
4. Dohle bodies

Correct answer: 2. Auer rods

Explanation: The diagnosis of AML is based on the presence of atleast 20% myeloblasts in the bone marrow.Myeloblasts have delicate nuclear chromatin, 2-4 nucleoli and more voluminous cytoplasm than lymphoblasts.Cytoplasm often contains fine peroxidase positive azurophilic granules. Auer rods,distinct needle like azurophilic granules are present Philadelphia chromosome is seen in CML Hemolytic anaemia is seen in CLL. Due to auto antibodies made by non neoplastic B cells. Dohle bodies are seen in leukocytosis.They are patches of dilated endoplasmic reticulum that appear as sky blue endoplasmic puddles Ref: Robbins and Cotran Pathologic basis of disease.South Asia Edition volume 1.page no583,594,613,617